The following drug inhibits histamine release
1. D tubocurare
2. Morphine
3. Suxamethonium
4. Ketotifin

Correct answer: 4. Ketotifin

Explanation: Ketotifen, nedocromil are mast cell stabilizers inhibiting the release of histamine.remaining all options given are histamine releasersRef: KD Tripathi 7th ed pg 229